The regional anaesthesia technique that would not be expected to provide appropriate analgesic benefit during the first stage of labor is
1. Lumbar epidural
2. Pudendal nerve block
3. Lumbar sympathetic block
4. Paracervical block

Correct answer: 2. Pudendal nerve block

Explanation: Pudendal nerve block during delivery mitigates somatic pain during second stage of labor.